HCV virus is ?
1. Enveloped DNA
2. Enveloped RNA
3. Nonenveloped DNA
4. Nonenveloped RNA

Correct answer: 2. Enveloped RNA

Explanation: Ans. is 'b' i.e., Hepatitis C virus is a small, enveloped, positive-sense single-stranded RNA virus of the family Flaviviridae.